Therapeutic uses of prostaglandin E1 include all of the following except
1. Medical termination of pregnancy
2. Impotance
3. Primary pulmonary hypertension
4. Maintenance of patent ductus arteriosus

Correct answer: 3. Primary pulmonary hypertension

Explanation: Prostaglandin I2 analogue (like epoprostenol and treprostinil) are used for the treatment of Pulmonary hypertension. prostaglandin E1 analogue are used for first trimester abortion (Misoprostol), impotence (alprostadil) and maintenance of patency of ductus arteriosus patency of ductus arteriosus (alprostadil). Refer kDT 6/e p181